Finger pattern may be impaired permanently in case of
1. Acanthosis nigricans
2. Leprosy
3. Scleroderma
4. Snow exposure

Correct answer: 2. Leprosy

Explanation: Ans. is 'b' i.e., Leprosy Conditions modifying finger prints* Finger prints may be modified in following situations.1) Temporary modification:# It may be due toi) Moderate ridge atrophy (+- loss of pattern) : Coeliac disease.ii) Incomplete ridge atrophy or alteration : Acanthosis nigricans, dermatitis, dry atrophic skin, scleroderma.iii) Distance between ridges change (no change in pattern): Rickets, acromegaly, infantile paralysis.iv) Modification by applying physical agents (by criminals): CO2, snow, corrosives, burns, eroding agents.2) Permanent modification:# It occurs in leprosy, radiation, electric injury, by skin grafting and by complete destruction of skin.